Which enzyme level is tested in thiamine deficiency?
1. PDH
2. Pyruvate kinase
3. Transketolase
4. Kinase

Correct answer: 3. Transketolase

Explanation: Thiamine (vitamin B1) Deficiency It is assessed by Erythrocyte transketolase activity. Thiamine (Vitamin B1) is the marker for transketolase enzyme -which is involved in HMP pathway (in RBCs) Activity of Transketolase is measured (not the quantity).